All of the following drugs can cause hirsutism except :
1. Phenytoin
2. Flutamide
3. Norethindrone
4. Danazol

Correct answer: 2. Flutamide

Explanation: 'Flutamide is an anti-androgen and is used for the treatment of hirsutism'